Effect of PIH on GFR is-
1. Increase GFR
2. Decrease GFR
3. GFR remains the same
4. GFR can increase or decrease

Correct answer: 2. Decrease GFR

Explanation: In normal pregnancy – changes which occur in renal system are-: